All are seen in VKH syndrome except -
1. Vitiligo
2. Vertigo
3. Granulomatous uveitis
4. Iris heterochromia

Correct answer: 4. Iris heterochromia

Explanation: Clinical features of VKH syndrome Cutaneous lesion:alopecia, poliosis and vitiligo Neurological lesions:meningism and encephalopathy Auditory features:tinnitus, vertigo and deafness Ocular features :granulomatous uveitis Ref:A K Khurana 6th edition pg:169